Which is the most common red cell defect without Hb abnormality?
1. Elliptocytosis
2. Spherocytosis
3. Poikilocytosis
4. Sickle cell disease

Correct answer: 2. Spherocytosis

Explanation: *Anisocytosis: Variation in size (seen in thalassemia which is a hemoglobin abnormality)*Poikilocytosis: Variation in shape (seen in thalassemia which is a hemoglobin abnormality)*Elliptocytosis: A red cell membrane disorder without Hb abnormality, but not so common*Sickle cell anemia: A qualitative Hb disorder *Spherocytosis: Spherocytosis occurs due to membrane defect which could be hereditary or due to autoimmune hemolytic anemia. The condition has no relation to hemoglobin. If all causes of spherocytosis are taken into account, it is the most common red cell defect compared to other options. (Ref: Robbins 8/e p650)